Sterilization and disinfection of blood spills is done by:
1. Formaldehyde
2. Sodium hypochlorite
3. Tincture iodin
4. Phenols

Correct answer: 2. Sodium hypochlorite

Explanation: ANSWER: (B) Sodium hypochloriteREF: Park 20th ed p. 118, Ananthnarayan 8th e p. 35Halogens (hypochlorides)Cheap, effective and act by release of free chlorine and effective against viruses.Chlorine-releasing agents are chemicals disinfectants which are effective against blood-borne viruses and are rapid in action.They are considered the disinfectant of choice in the event of a spillage of blood or body fluid.Rapidly inactivated by organic matter.Chlorine-releasing agents must never be mixed with acids or used on spills of urine as chlorine gas will be released.Dilutions should not be mixed with any other cleaning agents, or with hot water but only made up with cold or tepid waterCholrine concentrations:Strength Uses10,000 parts per million (ppm) Decontamination of spillages of blood and/or body fluids stained with blood1,000 parts per million (ppm) Disinfection of surfaces following contamination with other body fluids e.g commodes (to be used after cleaning)